Epstein Barr virus causes autoimmunity by -
1. Molecular Mimicry
2. Release of Sequestrated Antigen
3. Inappropriate Expression of MHC Class II Molecules
4. Polyclonal B cell Activation

Correct answer: 4. Polyclonal B cell Activation

Explanation: Polyclonal B cell activation: in this hypothesis, while an antigen generally activates only its corresponding B cell, certain stimuli non specifically turn on multiple B cell clones. A Such stimuli include virus ( EB virus), enzymes (trypsin), bacteria ( mycoplasma) etc It is type 4 human herpes virus Reference : Anathanarayan & paniker's 9th edition, pg no: 179